Medical adrenalectomy is seen with-
1. Vincristine
2. Vinblastine
3. Mitotane
4. Methotrexate

Correct answer: 3. Mitotane

Explanation: medical adrenelectomy with metyrapone, mitotane, am in oblige thin ice, ketaconazole( Harrison 17 pg 2259)